Which of the following is TRUE of adrenal suppression due to steroid therapy?
1. It is not associated with atrophy of the adrenal glands
2. It is less likely to occur in patients receiving inhaled steroids
3. It should be expected in anyone receiving >5 mg prednisolone daily
4. Following cessation, the stress response nor-malizes after 8 weeks

Correct answer: 2. It is less likely to occur in patients receiving inhaled steroids

Explanation: Ans. (B) It is less likely to occur in patients receiving inhaled steroids(Ref: KDT 8/e p318)HPA-axis suppression is associated with adrenal atrophy.It occurs when hydrocortisone (>20-25 mg/ day) or equivalent is given for more than 2-3 weeks. In the question, there is no mention of time.Patients developing HPA axis suppression must be provided with steroids for stressful situations for ONE YEAR after withdrawal.Chances of HPA-axis suppression is minimum with inhaled route as compared to oral route.